Polyvalent antivenin is not prepared by using the venom of which of the following following snakes?
1. Naja naja
2. Hypernale hypernale
3. Echis carinate
4. Bungarus caeruleus

Correct answer: 2. Hypernale hypernale

Explanation: Polyvalent antivenin is prepared mainly for four snakes. By hyper immunising with horse with venom. The snakes are Naja naja, Echis carinate, Daboia russel and Bungarus caeruleus.